All are branches of thyrocervical trunk except-
1. Inferior thyroid artery
2. Suprascapular artery
3. Superficial cervical artery
4. Superior thyroid artery

Correct answer: 4. Superior thyroid artery

Explanation: Ans. D. Superior thyroid arterySubclavian ArteryOrigina. right subclavian artery (RSA) is one of the terminal branches of the brachiocephalic arteryb. left subclavian artery (LSA) arises as the third branch of the aortic arch after the left common carotid arteryCourseThe subclavian artery exits via the thorax via the superior thoracic aperture between the anterior and middle scalene muscles before passing between the first rib and clavicle. At the lateral border of the first rib it continues as the axillary artery.PartsThe vessel can be split into three parts (first, second, third) depending on the position of the vessel in relation to scalenus anterior:a. First part: from its origin to the medial border of scalenus anteriorb. Second part: posterior to scalenus anteriorc. Third part: from the lateral border of scalenus anterior to the lateral border of the first ribBranchesa. First partvertebral artery:internal thoracic artery:thyrocervical trunk: branches into- inferior thyroid A., Superficial cervical A., Suprascapular A.b. Second partcostocervical trunk: divides into superior intercostal and deep cervical arteriesdorsal scapular arteryc. Third partnil